Which of the following congential anomalies is seen with maternal use of cocaine
1. Sacral agenesis
2. Hydrops
3. Cleft palate
4. Hypertrichosis

Correct answer: 3. Cleft palate

Explanation: Most adverse outcomes associated with cocaine result from its vasoconstrictive and hypertensive effects. Maternal complications cerebrovascular hemorrhage myocardial damage placental abruption preterm labour, PPROM, precipitous labour Fetal complications cleft palate cardiovascular abnormalities urinary tract abnormalities Skull defects Visceral Infarcts fetal-growth restriction preterm delivery. Children exposed as fetuses are at increased risk for behavioral abnormalities and cognitive impairments.